Which of the following nutrients are not included in Total parenteral nutrition:
1. Lipids
2. Carbohydrates
3. Proteins
4. Fibres

Correct answer: 4. Fibres

Explanation: Dietary fibres are not provided through parenteral nutrition.
Parenteral nutrition solution contains essential nutrients including protein, carbohydrates, fat, vitamins, trace elements electrolytes and water.